Clavipectoral fascia is pierced by all except ?
1. Lateral pectoral nerve
2. Median pectoral nerve
3. Thoracoacromial vessels
4. Cephalic vein

Correct answer: 2. Median pectoral nerve

Explanation: Ans. is 'b' i.e., Median pectoral nerve Clavipectoral fascia is pierced by -Thoraco-Acromial vessels.Lateral pectoral nerve.Lymphatics passing from breast and pectoral region to apical-axillary 1.n.Cephalic vein.